Which of the following is a feature of primary adrenal cortical failure ?
1. Hypopigmentation
2. Sodium and water depletion
3. Hypertension
4. Hypokalemia

Correct answer: 2. Sodium and water depletion

Explanation: hyper pigmentation, hypotension and hyperkalemia . there is hyponatremia due to sodium lodmss in urine due to aldosterone deficiency ( Harrison 17 pg 2264)